Functional impression technique can be applied in:
1. Uniformly ﬁrm ridge consistency
2. All variety of residual ridges
3. Knife edge ridge
4. Displaceable alveolar ridge

Correct answer: 1. Uniformly ﬁrm ridge consistency

Explanation: Functional impression using tissue conditioners is a closed mouth, patient-driven impression technique, indicated for well-formed and firm ridges in patients with good dexterity and neuromuscular control.